Temperature of 121-degree centigrade for 15 in with pressure of 15lb per square inch is used in
1. Hot air oven
2. Autoclave
3. Incinerator
4. Steam sterilizer

Correct answer: 2. Autoclave

Explanation: Autoclave is an eg for moist heat sterilization Temp 120 for 15min -ideal 126 for 10min or 133 for 3 min can also be used Ref: CP Baveja 4th ed Pg:33